All are anti-oxidants except
1. Vit A
2. Vit C
3. Vit D
4. Vit E

Correct answer: 3. Vit D

Explanation: Antioxidant vitamins are vitamin C, carotenes and vitamin A, and vitamin E.